Thickening of pulmonary alveolar - capillary membrane is seen in :
1. Asthma
2. Bronchitis
3. Pulmonary fibrosis
4. Emphysema

Correct answer: 3. Pulmonary fibrosis

Explanation: Answer is C (Pulmonary fibrosis): Pulmonary Alveolar -- capillary membrane thickening is a characteristic feature of interstitial lung disease like pulmonary fibrosis